Most common site of chronic gastric ulcer
1. Pylorus of stomach
2. Lesser curve near incisura
3. Lesser curve near proximal stomach
4. Greater curvature

Correct answer: 2. Lesser curve near incisura

Explanation: Ans. b. Lesser curve near incisuraRef: Essential Surgery E-Book: Problemsy Diagnosis and Management: With Student by Clive R. G. Quick; Page No- 296PEPTIC ULCER DISEASEResults from damage to the gastric or duodenal mucosa caused by impaired mucosal defense and/or | acidic gastric contents.Risk factors: H. pylori (>90% of duodenal ulcers and 70% of gastric ulcers), NSAIDs, alcohol, and tobacco use; concomitant use of corticosteroids and NSAIDs; gender (males>females).HISTORY/PEPresentation: Chronic or periodic dull, burning epigastric pain that is often related to meals and can radiate to the back; nausea; hematemesis ("coffee-ground" emesis); or hematochezia (blood in the stool).Examination: Usually normal but may reveal epigastric tenderness and stool guaiac.Risks: Acute perforation (rigid abdomen, rebound tenderness, and/or guarding).Most common sites:The most common sire for chronic peptic ulcers are in the first part of the duodenum or the gastric antrum, particularly along the lesser curvature.A chronic stomal ulcer may also appear at the margin of a surgical created communication between stomach and intestine (Gastroenterostomy).